The enzyme phospho fructokinase 1 is strongly activated by:
1. Cyclic amp
2. Adenosine triphosphate
3. Citrate
4. Fructose 2,6 bisphosphate

Correct answer: 4. Fructose 2,6 bisphosphate

Explanation: Ans. D. Fructose 2,6 bisphosphatePFK is the most important regulatory enzyme in glycolysis. PFK is an allosteric enzyme regulated by allosteric effectors. ATP, citrate and H+ ions are the most important allosteric inhibitors.